Conglomerate nodules in X-ray are seen in
1. Sarcoidosis
2. Hypersensitive Pneumonitis
3. Silicosis
4. Lobar pneumonia

Correct answer: 3. Silicosis

Explanation: In silicosis long term less intense exposure, small rounded opacities in the upper lobes may appear in chest radiograph after 15-20years exposure. The nodular fibrosis may be progressive and coalesce and form nonsegmental conglomerate masses which are irregular and >1cm in diameter and can lead to progressive massive fibrosis.Reference: Harrison's Principles of Internal Medicine; 19th edition; Chapter 311; Occupational and Environmental Lung Disease